Supination and pronation of upper limb is due to:
1. Wrist joint
2. Radio-ulnar joint
3. Elbow joint
4. Carpometacarpal joint

Correct answer: 2. Radio-ulnar joint

Explanation: Ans. (b) Radio-ulnar jointRef.: BDC 6th ed. vol. I /153-154; Clinically Oriented Anatomy by Keith, Moore, 5th ed/ 865* During Supination radius rotates laterally and palm laces anteriorly* During pronation, radius rotates medially and palm faces posteriorly* This movement takes place around distal radio-ulnar joint.